All of the following arteries are common sites of occlusion by a thrombus except:
1. Anterior intervetricular
2. Posterior interventricular
3. Cirucumflex
4. Marginal

Correct answer: 4. Marginal

Explanation: D i.e. Marginal Nodal, Acute Marginal & Posterior Descending (interventricular) arteryQ are branches of Right Coronary artery; whereas Circumflex, Diagonal, Obtuse Marginal & Anterior Descending (interventricular) arteryQ are branches of Left Coronary Artery. LAD, RCA and LCX are common whereas as marginal branches are uncommon site of thrombosis.